In rheumatoid arthritis pathology starts in
1. Articular cartilage
2. Capsule
3. Synovium
4. Muscle

Correct answer: 3. Synovium

Explanation: Answer- C. SynoviumRA is a chronic multisystem disorder that may affect many tissues and organs, but principally attacks the joint, producing a nonsuppurative proliferative and inflammatory synovitis that often progresses to destruction of the articular cartilage and ankylosis ofthe joint.